Hypopyon ulcer may be produced by:
1. Pneumococcus
2. Pseudomonas
3. Gonococcus
4. All of the above

Correct answer: 4. All of the above

Explanation: Ans.All of the above